Which of the following muscle relaxant has the maximum duration of action -
1. Atracurium
2. Vecuronium
3. Rocuronium
4. Doxacurium

Correct answer: 4. Doxacurium

Explanation: Ans. is 'd' i.e., Doxacurium o Amongst the given options doxacurium is longest acting (Duration of action 90-120 minutes). Rocuronium (duration of action 30-60 minutes), Atracurium (duration of action 30-60 minutes) and vecuronium (duration of action 60-90 minutes) have shorter duration of action than doxacurium.